During pregnancy, vaccination can be given against all these diseases except -
1. Hepatitis
2. Typhoid
3. Mumps
4. Hepatitis B

Correct answer: 3. Mumps